Which of the following hormones stimulates gastric emptying _________
1. Gastrin
2. Secretion
3. CCK
4. Gastric inhibitory peptide

Correct answer: 1. Gastrin

Explanation: Gastrin stimulates gastric emplying.
CCK, secretin, gastric inhibitory peptide (GIP) inhibits gastric emptying.